Investigation of choice for juvenile nasoangiofibroma
1. X-ray
2. Angiography
3. USG
4. CT Scan – contrast enhanced

Correct answer: 4. CT Scan – contrast enhanced

Explanation: Contrast CT is the investigation of choice as extent of the tumor can be seen.